True about epidural opioid are all except:
1. Act on dorsal horn substantia gelatinosa
2. Can cause Itching
3. Function of the intestine is not affected
4. Can cause respiratory depression

Correct answer: 3. Function of the intestine is not affected

Explanation: Ref: Katzung 11/e p542 *Because of their direct action on the superficial neurons of the spinal cord dorsal horn, opioids can also be used as regional analgesics by administration into the epidural or subarachnoid spaces of the spinal column. *It was initially assumed that the epidural application of opioid might selectively produce analgesia without impairment of motor, autonomic, or sensory functions other than pain. However, respiratory depression can occur after te drug is injected into the epidural space and may require reversal with naloxone. *Currently, the epidural route is favored because systemic adverse effects are less common.